A 24-year-old woman presents with abdominal pain, joint discomfort, and lower limb rash. She was well until 1 week before presentation. On examination, she has a palpable purpuric rash on her legs, nonspecific abdominal discomfort, and no active joints. She has 3+proteinuria, normal WBC, no eosinophils, and elevated creatinine of 1.6 mg/dL. Biopsy of the rash confirms vasculitis with immunoglobulin A (IgA) 3+and C3 (complement 3) deposition on immunofluorescence.For the above patient with vasculitis syndrome, select the most likely diagnosis.
1. polyarteritis nodosa (PAN)
2. Churg-Strauss disease
3. Henoch-Schonlein purpura
4. vasculitis associated with infectious diseases

Correct answer: 3. Henoch-Schonlein purpura

Explanation: Henoch-Schonlein purpura, characterized by palpable purpura, arthralgias, GI symptoms, and glomerulonephritis, can be seen in any age group but is most common in children. It can resolve and recur several times over a period of weeks or months and can resolve spontaneously.